'Shrinking lung' is a feature of
1. Rheumatoid arthritis
2. SLE
3. Systemic scleoris
4. Polymyosities

Correct answer: 2. SLE

Explanation: Shrinking lung syndrome (SLS) is a rare complication of systemic lupus erythematosus (SLE) characterized by unexplained dyspnea, a restrictive pattern on pulmonary function tests, and an elevated hemidiaphragm.. This disorder is seen primarily during the later stages of SLE Ref Davidson 23rd edition pg 533